Earliest sensation to be lost in Hansens disease is:
1. Pain
2. Touch
3. Vibration
4. Temperature

Correct answer: 4. Temperature

Explanation: D. i.e. Temerature